Rapaport leubering cycle
1. Occurs in erythrocyte
2. Concerned with 2,3 DPG
3. Both
4. None

Correct answer: 3. Both